People are arranged alphabetically by their names and then every 3rd person is chosen for study. The type of sampling is ?
1. Stratified random
2. Systematic random
3. Simple random
4. None of the above

Correct answer: 2. Systematic random

Explanation: Ans. is 'b' i.e., Systematic random Simple random sampling Simple random sampling, also, known as 'unrestricted random sampling'; is applicable for small, homogenous, readily available population and is used in clinical trials. In simple random sampling each individual is chosen randomly and entirely by chance. So, each individual has the same probability of being chosen at any stage during the sampling process. For example Let us assume you had a school with 1000 students, divided equally into boys and girls, and you wanted to select 100 of them for further study. You might put all their names in a bucket and then pull 100 names out. Not only does each person have an equal chance of being selected, we can also easily calculate the probaility of